Renal vein thrombosis in children is most commonly found in _____________
1. FSGS
2. Membranous glomerulopathy
3. Minimal change disease
4. Acute pyelonephritis

Correct answer: 2. Membranous glomerulopathy

Explanation: Renal vein thrombosis (RVT) is an uncommon condition in adults and may be caused by endothelial damage, stasis, or hypercoagulable states. Imaging revealed bladder distension, enlargement of the prostate, bilateral hydronephrosis, and left renal vein thrombosis extending into the inferior vena cava. Renal vein thrombosis Renal vein thrombosis (RVT) is common (around 40%) in patient with nephrotic syndome, as a consequence, in : a) Membranous nephropathy (more common) b) Membranoproliferative glomerulonephritis c)Focal glomerular sclerosis Reference: GHAI Essential pediatrics, 8th edition